All are Type-III hypersensitivity reaction except:
1. Polyarteritis nodosa
2. Post- streptococcal glomerulonephritis
3. Epstein barr virus infections
4. Pemphigus vulgaris

Correct answer: 4. Pemphigus vulgaris

Explanation: Pemphigus vulgaris is type 2 hypersensitivity reaction. examples of various hypersensitivity reaction are given in attached treasure.